NOT a feature of organophosphate poisoning:
1. Diarrhea
2. Dilated pupil
3. Salivation
4. Bradycardia

Correct answer: 2. Dilated pupil

Explanation: Ans. B i.e. Dilated pupil